Base of heart is at the level of which vertebrae ?
1. C4 - C7
2. C7 - T2
3. T5 - T8
4. T9 - T12

Correct answer: 3. T5 - T8

Explanation: Ans. is'c' i.e., T5 - T8